Clinical features of pseudocyesis are all of the following except :
1. Quickening
2. Enlargement of uterus
3. Amenorrhea
4. False labor

Correct answer: 2. Enlargement of uterus

Explanation: Enlargement of uterus